A 69-year-old man has an abnormally Increased Curvature of the Thoracic Vertebral Column. Which of the following conditions is the most likely diagnosis?
1. Lordosis
2. Meningocele
3. Meningomyelocele
4. Kyphosis

Correct answer: 4. Kyphosis

Explanation: Kyphosis (hunchback or humpback) is an abnormally increased Thoracic Curvature, usually resulting from osteoporosis. Lordosis is an abnormal accentuation of the Lumbar Curvature. Spina bifida occulta is failure of the vertebral arch to fuse (only bony defect). Meningocele is a protrusion of the meninges through the unfused arch of the vertebra, whereas meningomyelocele is a protrusion of the spinal cord and the meninges.